Most common porphyria in humans is due to deficiency of which of the following enzyme:
1. PBG deaminase
2. Uroporphyrinogen decarboxylase
3. Ferrochelatase
4. Coproporphyrinogen oxidase

Correct answer: 2. Uroporphyrinogen decarboxylase

Explanation: Porphyria Cutanea Tarda is the most common porphyria. Enzyme defect:- Uroporphyrinogen decarboxylase Sporadic (type 1) Familial (type 2) Can also develop after exposure to halogenated aromatic hydrocarbons. MC Acute porphyria - Acute intermittent porphyria MC porphyria in children - Erythropoietic protoporphyria